A 26 year old man has had Crohn's disease of the ileum for 10 months and has been treated with several drugs. He now suffers from muscle weakness, centripetal obesity, and a round, plethoric face. These side effects are most likely associated with the long-term use of:
1. Azathioprine
2. Cyclosporine
3. Olsalazine
4. Prednisone

Correct answer: 4. Prednisone

Explanation: Prednisone is frequently used to treat inflammatory bowel disease, as well as rheumatic disorders. The long-term use of glucocorticoids (such as prednisone, prednisolone, and triamcinolone), is associated with various side effects, including muscle weakness, weight gain, redistribution of fat, moon facies, osteoporosis, cataract formation, glaucoma, adrenal insufficiency, and exacerbation of peptic ulcers. Ref: Chandraker A., Milford E.L., Sayegh M.H. (2012). Chapter 282. Transplantation in the Treatment of Renal Failure. In D.L. Longo, A.S. Fauci, D.L. Kasper, S.L. Hauser, J.L. Jameson, J. Loscalzo (Eds), Harrison's Principles of Internal Medicine, 18e.